Contact isolation is done for:
1. Mumps
2. MRSA
3. Diphtheria
4. Typhoid

Correct answer: 2. MRSA

Explanation: Contact isolation is done for methicillin-resistant staphylococcus auerus. MRSA should not be touched with bare hands because risk of infectivity is very high. MRSA is produced due to alteration of penicillin binding proteins in the gene mec A. The drug of choice for MRSA is vancomycin.